Out of two anticholinesterases, drug 'X' is a tertiary amine while drug 'Y' is a quarternary ammonium compound. Then
1. Drug 'X' is likely to be more potent than 'Y'
2. Drug 'Y' will produce CNS effects
3. Drug 'Y' will be completely metabolized in the body
4. Drug 'X' will be more suitable to be used as a miotic

Correct answer: 4. Drug 'X' will be more suitable to be used as a miotic

Explanation: Drug X is physostigmine and Drug Y is neostigmine. Physostigmine:- It is rapidly absorbed from g.i.t. and parenteral sites. Applied to the eye, it penetrates cornea freely. It crosses blood-brain barrier and is disposed after hydrolysis by ChE. Neostigmine and congeners:- These are poorly absorbed orally; oral dose is 20-30 times higher than parenteral dose. They do not effectively penetrate cornea or cross blood-brain barrier. They are partially hydrolysed and partially excreted unchanged in urine. Ref:- kd tripathi; pg num:-107,108